Regarding ranula all are true except
1. Retention cyst
2. Translucent
3. Arises from submandibular gland
4. Plunging may be a feature

Correct answer: 3. Arises from submandibular gland

Explanation: Ranula It is a cystic translucent lesion seen in the floor of mouth on one side of the frenulum and pushing the tongue up. It arises from the sublingual salivary gland due to obstruction of its ducts. Some ranulae extend into the neck (plunging type). Treatment: It is complete surgical excision if small, or marsupialization, if large. Often it is not possible to excise the ranula completely because of its thin wall or ramifications in various tissue planes. Ref:- Dhingra; pg num:-224,225